Brain abscess in cyanotic heart disease is commonly located in -
1. Cerebellar hemisphere
2. Thalamus
3. Temporal lobe
4. Parietal lobe

Correct answer: 4. Parietal lobe